Desk for student is?
1. Minus desk
2. Plus desk
3. Zero desk
4. All the desks

Correct answer: 1. Minus desk

Explanation: ANSWER: (A) Minus deskREF: Park 20m ed p. 498Based on the relationship between the desk and the chair, there are 3 types of desksPlus deskThere is a gap between the edge of the desk the edge of the chairThe disadvantage of this type of arrangement is that the student has to lean forward to write on the deskZero deskThe edge of the desk is at the same level as that of the chairMinus deskThe edge of the chair goes inside the edge of the deskIt is the recommended desk for use in schoolsAdvantage - easy to write on the desk, maintenance of good postureDisadvantage - difficult to get up from the chair as the chair has to be pulled out before the student can stand